MHC class III genes encode -
1. Complement component C3
2. Tumor necrosis factor
3. Interleukin 2
4. Beta 2 microglobulin

Correct answer: 2. Tumor necrosis factor

Explanation: class 3 or complement components C2& C3 of the classical pathway, as well as properdin factor B of the alternate pathway, heat shock proteina & tumor necrosis factor alpha& beta Reff: Ananthanarayanan & Panikers textbook of microbiology 9th edition pg:140